Which of the following congenital malformation is seen in a child of a mother who is on treatment with oral anticoagulants?
1. Nasal hypoplasia
2. Renal agenesis
3. Long bone defects
4. Achondroplasia

Correct answer: 1. Nasal hypoplasia

Explanation: Administration of warfarin during pregnancy causes birth defects and abortion. A syndrome characterized by nasal hypoplasia and stippled epiphyseal calcifications that resemble chondrodysplasia punctata may result from maternal ingestion of warfarin during the first trimester. Central nervous system abnormalities have been reported following exposure during the second and third trimesters. Fetal or neonatal hemorrhage and intrauterine death may occur, even when maternal PT values are in the therapeutic range. Ref: Weitz J.I. (2011). Chapter 30. Blood Coagulation and Anticoagulant, Fibrinolytic, and Antiplatelet Drugs. In L.L. Brunton, B.A. Chabner, B.C. Knollmann (Eds), Goodman & Gilman's The Pharmacological Basis of Therapeutics, 12e.